When used for emergency contraception, What is the dose of ulipristal acetate?
1. 300mg
2. 30mg
3. 300ug
4. 30ug

Correct answer: 2. 30mg

Explanation: Emergency Contraceptives Drug Dose Levonorgestrel (POP) 1 dose 1.5 mg within 72 hrs Copper IUDs ( NOT THE DOC ! ) Insertion within 5 days Ulipristal acetate (SPRM) 30 mg orally within 120 hours Ethinyl estradiol 50 ug + Norgestrel 0.25 mg (COC) 2 tab stat and 2 after 12 hour Mifepristone RU 486 (PART) 25 to 100 mg single dose ICUDs are the most effective methods, no doubt, but they can never be the DOC. Thats because they require seeing a gynecologist take a prescription and then a specialist to insert the device. Emergency contraception is based on the principle of 'over the counter' easy to use medication to prevent a pregnancy and when there is unplanned intercourse, which can happen many times in a year, a person cannot be expected to take an IUCD every time! However, a LNG tablet can be easily, and effectively, be taken whenever there is unplanned intercourse * Please note: We are in the early part of year 2020 now. Mifepristone or Ullipristal may be soon termed as the best drugs for EC. Please be on the look out for recent updates.